Which of the following can prolong QT interval?
1. Nalidixic acid
2. Ofloxacin
3. Gatifloxacin
4. Pefloxacin

Correct answer: 3. Gatifloxacin

Explanation: Ans. is 'c' i.e, Gatifloxacin